The drug used in Alzheimer's disease is
1. Tacrine
2. Rivastigmine
3. Pyridostigmine
4. Neostigmine

Correct answer: 2. Rivastigmine

Explanation: Tacrine was not discontinued due to hepatotoxicity Donepezil, gallatamine, rivastigmine can be used which are lipid soluble and can cross BBB easily Pyridostigmine and neostigmine are quarternary amines which do not cross BBB hence not used in Alzheimers Ref: KDT 6th ed pg 104